A neonate with Down syndrome is having bilious vomiting
1. Duodenal atresia
2. Congenital hypertrophic pyloric stenosis
3. Ileal atresia
4. Anorectal malformation

Correct answer: 1. Duodenal atresia

Explanation: Ans. (a) Duodenal atresia Ref - The image shows the presence of double bubble appearance suggestive of diagnosis of duodenal atresia. About 8% of children with Down syndrome are born with duodenal atresia which presents with bilious vomiting.